The Golgi complex
1. is an organelle that participates in the breakdown of proteins and lipids.
2. is an organelle that participates in posttranslational processing of proteins.
3. is an organelle that participates in energy production.
4. is an organelle that participates in transcription and translation.

Correct answer: 2. is an organelle that participates in posttranslational processing of proteins.

Explanation: One or more Golgi apparati are present in all eukaryotic cells, usually near the nucleus. There are more than 200 enzymes that function to add, remove, or modify sugars from proteins and lipids in the Golgi apparatus.
Ganong 23 rd ed, pg 40